True statement about the external nose is
1. Upper 2/3 is bony
2. Lower 1/3 is cartilaginous
3. Single lateral cartilage
4. Two nasal bones

Correct answer: 4. Two nasal bones

Explanation: External nose has an osteocartilaginous framework of which upper one-third is bony and lower two-thirds is cartilaginous. Bony part- Consists of two nasal bones Cartilaginous part: - Consists of two upper lateral cartilages, two lower lateral cartilages, two or more lesser alar (or sesmoid) cartilages anda septal cartilage. So, there are 3 paired and 1 unpaired cartilages. Ref: PL Dhingra, Diseases of Ear, Nose & Throat, 7th edition, pg no. 149